Type B Sub-centre is characterized by:-
1. Presence of Medical officer
2. Delivery facilities available
3. Immunization services available
4. Family planning services available

Correct answer: 2. Delivery facilities available

Explanation: SUBCENTERS TYPE-A TYPE-B Delivery facility Absent Present Health worker 1 1 Health worker /ANM 1 2 Safai karamchari 1 1 Total 3 workers 4